Inverted saucer shaped lesion is found in -
1. Lepromatous Leprosy
2. Tuberculoid Leprosy
3. Borderline Leprosy
4. Indeterminate leprosy

Correct answer: 3. Borderline Leprosy

Explanation: Inverted saucer shaped lesions are characteristic if mid-borderline (BB)leprosy very unstable uncommon leprosy. upgrading bl or downgrading BT leprosy pass through this stage. widespraed lesions, asymmetrical erythematosus infiltrated plaques with punched out or annular appearence plaque is depressed in center sharp inner edge and sloping outer edge- inverted saucer appearance. iadvl textbook of dermatology page 2037